A 56 year old male presented with hemiparesis involving the entire left side of the body except for the left leg, which is normal. Radiography revealed a stroke involving the right primary motor cortex. Which of the following vessels is likely to be thrombosed?
1. Posterior cerebral artery
2. Anterior cerebral artery
3. Middle cerebral artery
4. Anterior and middle cerebral artery

Correct answer: 3. Middle cerebral artery

Explanation: The middle cerebral artery supplies the entire motor area except for the leg area. Thus, a lesion in the middle cerebral artery causes contralateral hemiparesis, sparing the leg area. The anterior cerebral artery is the smaller terminal branch of the internal carotid artery. It runs in the saggital fissure and is joined by the anterior communicating artery. It anastomoses with the posterior cerebral artery. It supplies the medial surface of the cerebral cortex and a strip of about 1 inch on the adjoining lateral surface. It also supplies the parts of lentiform and caudate nuclei and the internal capsule. The middle cerebral artery is the larger terminal branch of the internal carotid artery. It runs in the lateral sulcus. It supplies the entire lateral surface of the cerebral hemisphere except for a narrow strip supplied by the anterior cerebral artery and the occipital pole and the inferolateral surface (supplied by the posterior cerebral artery). Therefore, the middle cerebral artery supplies the entire motor area except for the leg area. This is supplied by the anterior cerebral artery. The posterior cerebral artery is the terminal branch of the basilar artery. It supplies the occipital lobe, inferolateral and medial surfaces of the temporal lobe. Thus, it supplies the visual cortex. It also supplies parts of the thalamus, lentiform nucleus, midbrain, pineal gland, and medial geniculate bodies. Ref: Snell's Clinical Neuroanatomy 8th edition Pgno: 465,468